Ectopic bruise is most commonly seen in:
1. Leg
2. Eye
3. Pinna
4. Scalp

Correct answer: 2. Eye

Explanation: Ans. Eye